In which one of the following conditions is gas under diaphragm not seen-
1. Perforated duodenal ulcer
2. Typhoid perforation
3. After laparotomy
4. Spontaneous rupture of oesophagus

Correct answer: 4. Spontaneous rupture of oesophagus

Explanation: Ans. is 'd' i.e., Spontaneous rupture of oesophagus